A 25 year old executive presents with metamorphopsia in his right eye. On examination the fundus shows a shallow detachement at the macula. The fluorescein angiography shows a "smoke stack" sign. Which of the following management should be given ?
1. Topical antibiotic- corticosteroid combination
2. Systemic corticosteroid for two weeks and then taper
3. Pulse Methyl Prednisolone for three days and then taper
4. Just wait and watch for spontaneous recovery

Correct answer: 4. Just wait and watch for spontaneous recovery

Explanation: Manifestation of metamorphosia, detachment of macula and "smoke stack" sign on fluorescein angiography in a 25 years old patient suggest the diagnosis of central serous retinopathy.
When left alone, central serous retinopathy heals spontaneously within 4-12 weeks, with full recovery of vision in 90% of patients. Therefore reassurence is the only treatment required in majority of the cases.